Which of the following is not a feature of hypothyroidism?
1. Intellectual disability
2. Large head
3. Microcephaly
4. Calf muscle hypertrophy

Correct answer: 3. Microcephaly

Explanation: Hypothyroidism characterized by open and widened fontanelle results in large head and intellectual disability